Non-functional enzymes are all except:
1. Alkaline phosphatase
2. Acid phosphatase
3. Lipoprotein lipase
4. Gamma glutamyl transpeptidase

Correct answer: 3. Lipoprotein lipase

Explanation: Ans. is 'c' i.e. Lipoprotein lipase Plasma enzymes can be classified into functional and non-functional plasma enzymes. Functional plasma enzymesNon-functional plasma enzymesFunctionHas known physiological functionHas no known physiological functionCone, in plasmaNormally present in plasma in higher conc.in comparison to tissues.Normally, present in plasma in very low cone, in comparison to tissues.SubstrateTheir substrates are always present in bloodTheir substrates are absent from the bloodSite of synthesisMajority synthesized and secreted by liverDifferent organs e.g. Liver, heart, muscles etc.These non-funtional plasma enzymes arise from:Cell damage or necrosis with the release of enzymes into the blood e.g. blood cells, liver cells in viral hepatitis, myocardial cells in infarctionObstruction of normal pathway e.g. obstruction of bile ducts alkaline phosphatase.Clinical importance of Non-functional plasma enzymes- Measurement of non-functional plasma enzymes is important for:diagnosis of diseaseprognosis of diseasePrinciple non-functional plasma enzymes used in clinical diagnosisSerum EnzymesDiagnostic useAmylase and lipase enzymesAcute pancreatitisAminotransferasesAspartate aminotransferase(AST or SGOT)Alanine aminotransferase (ALT or SGPT)Myocardial infarction Viral hepatitisAcid PhosphataseProstate cancerAlkaline phosphataseObstructive liver diseases, bone diseases and hyperparathyroidismCreatine kinaseMuscle disorders and Myocardial infarctionCeruloplasminWilson's diseaseGamma-glutamyl transpeptidaseLiver diseasesLactate dehydrogenaseMyocardial infarctionLipoproteinlipase is a functional enzyme that hydrolyzes lipids in lipoproteins, such as those found in chylomicrons and very low-density lipoproteins (VLDL), into free fatty acids and glycerol molecule.